Increased ICT is associated with all except
1. Paraparesis
2. Abducent paralysis
3. Headache
4. Visual blurring

Correct answer: 1. Paraparesis

Explanation: idiopathic intracranial hypertension presented with headache ,sometimes accompanied by diplopia and visual disturbances *false localised cranial nerve palsy may be present (usually of the 6th nerve ) may be present. Ref Harrison20th edition pg 2345